Punishment for issuing false certificate?
1. 4 years
2. 5 years
3. 6 years
4. 7 years

Correct answer: 4. 7 years

Explanation: Ans. is 'd' i.e., 7 years Issuing false certificates - issuing false, ficticious, back date certificates is an offense under section 197 IPC. Punishment is 7 years + fine. Patient using such a certificate is punishable under section 198 IPC.